At the end of a balanced anaesthesia technique with non-depolarizing muscle relaxant, a patient recovered spontaneously from the effect of muscle relaxant without any reversal. Which is the most probable relaxant the patient had received.
1. Pancuronium
2. Gallamine
3. Atracurium
4. Vecuronium

Correct answer: 3. Atracurium

Explanation: C i.e. Atracurium